All of the following proteus species forms indole EXCEPT:
1. P. mirabilis
2. P. vulgaris
3. P. rettgeri
4. P. morganii

Correct answer: 1. P. mirabilis

Explanation: Ans. A i.e. P. mirabilis